A 55year old woman was found to have Ca cervix, FIGO stage 2-3, locally advanced. What would be the management
1. Surgery and chemotherapy
2. Radiotherapy and Chemotherapy
3. Chemotherapy
4. Radiotherapy and HPV vaccine

Correct answer: 2. Radiotherapy and Chemotherapy

Explanation: In advanced cancer Pelvic lymph node involvement is 30-55% Chemoradiation / Palliative surgery Chemoradiation +/- Palliative Radiotherapy is done Ref: D.C.DUTTA'S TEXTBOOK OF GYNECOLOGY; 6th edition; Pg no:351